Iris bombe is seen in patients with ?
1. Segmental posterior synechiae
2. Annular osteriorsynechiae
3. Total posterior synechiae
4. None of the above

Correct answer: 2. Annular osteriorsynechiae

Explanation: Ans. is `b' i.e., Annular posterior synechiae Svnechiae in iridocvclitis The exudates poured out by the iris and ciliary body cover the surface of iris as thin film and spread into the pupillary area.This is called plastic iridocyclitis. Due to these exudates, iris sticks to the lens capsule and becomes fixed. Such firm adhesions of the pupillary margin to the lens is called posterior synechiae. Depending upon the portion of iris involved, posterior synechiae may be :- Segmental posterior synechiae :- Adhesion of pupillary margin to the lens at some points (segmental). Dilatation of pupil with segmental posterior synechiae causes the intervening portions of the circle of the pupil to dilate Festooned appearance Ring synechiae (Annular posterior synechiae):- The whole circle (380deg) of the pupillary margin becomes tied down to the lens capsule. The aqueous is unable to pass into anterior chamber from the posterior chamber and collects behind the iris, which becomes bowed forwards like a sail, a condition which is called iris bombe. Ring synechiae is also called seclusio pupillae as there is occlusion of flow of aqueous from posterior to anterior chamber. The anterior chamber from the front is seen to be funnel - shaped, deepest in the centre and shallowest at the periphery. Total posterior synechiae : - Total posterior surface of iris become adherent to the lens capsule. This results in deepening of anterior chamber. When iris becomes adherent to cornea, it is called anterior synechiae.